In the following species of Salmonella, which one contain DT 104 strain?
1. Salmonella Gallinarium
2. Salmonella Typhi
3. Salmonella Enteritidis
4. Salmonella Typhimurium

Correct answer: 4. Salmonella Typhimurium

Explanation: It is emerged in 1990 and is Multidrug resistant strain. Ref: Harrison 18th Page 1278